In which of the condition "PIGGY BACK" wedging is indicated?
1. Proximal caries with gingival recession
2. Tooth with fluted surface
3. Class II with wide proximal box
4. Narrow class II cavity

Correct answer: 1. Proximal caries with gingival recession